Safe quadrant of the gluteal region for intramuscular injection is:
1. Upper and inner
2. Upper and outer
3. Lower and inner
4. Lower and outer

Correct answer: 2. Upper and outer

Explanation: Ans. B. Upper and outerThe gluteus maximus is the main extensor muscle of the hip. It is the largest and most superficial of the three gluteal muscles. The intramuscular injection is administered into the gluteus maximus muscle in the buttock. The upper outer quadrant of this area must be used to avoid any damage to the sciatic nerve.